Catabolism of H2O2 is carried out by
1. Peroxisomes
2. Mitochondria
3. Endoplasmic reticulum
4. Lysosomes

Correct answer: 1. Peroxisomes

Explanation: Peroxisome contain enzyme that oxidize various organic substances producing H2O2(REF TEXTBOOK OF MEDICAL PHYSIOLOGY GEETHA N, PAGE NO - 10)